Which one of the following drugs is most commonly employed in an attack of angina pectoris?
1. Sodium nitrate
2. Epinephrine
3. Nitroglycerina
4. Isosorbide dinitrate

Correct answer: 3. Nitroglycerina